Flexner-Wintersteiner rossette is seen in-
1. Hepatoblastoma
2. Nephroblastoma
3. Neuroblastoma
4. Retinoblastoma

Correct answer: 4. Retinoblastoma

Explanation: Harshmohan textbook of pathology 7th edition the microscopic structures of retinoblastoma characteristically arranged in rossettes. The rossettes are of 2 types 1. Flexner Wintersteiner rossettes characterised by small tumor cells arranged around a lumen with their nuclei away from the lumen. 2. Homer Wright rosettes- having radial arranarrangement of the tumor cells around the central neurofibrillar structure..